All are true about full thickness rectal prolapse except:
1. Elderly are at risk
2. Common in children
3. More common in female
4. sensation of incomplete evacuation

Correct answer: 2. Common in children

Explanation: Answer- B. Common in childrenCommon ln elderly women who are multiparaConstiPation is important featureTenesmus commonSome degree of incontinence of faeces & flatus is always present.